All of the following statements about Irritable Bowel syndrome are true, except:
1. Associated with anxiety
2. Stress predisposes
3. Constipation
4. Predisposes to malignancy in long term

Correct answer: 4. Predisposes to malignancy in long term

Explanation: Answer is D (Predisposes to malignancy in long term): Irritable Bowel syndrome (IBS) is a benign film:liana,' bowel disorder. IBS does not predispose to malignancy in the long term IBS may be associated with diarrhea or constipation 'The most common pattern in IBS is constipation alternating with diarrhea' - Harrison IBS max be associated with Anxiety and stress Abnormal Psychiatric manifestation are recorded in 80% of IBS patients. Emotional disorder and stress are associated with exacerbation of symptoms in IBS